An 8 years old child has left sided flank pain and intellectual disability. On ultrasound, a hyperechoic lesion in the right kidney and multiple lesions in the liver are noted. CT examination of the abdomen revealed -50 to -80 HU density of these lesions. The most probable diagnosis is:
1. Tuberous sclerosis
2. Hereditary hemangioblastoma
3. Autosomal recessive polycystic kidney disease
4. von Hippel-Lindau syndrome

Correct answer: 1. Tuberous sclerosis

Explanation: Answer- A (Tuberous sclerosis)AML is a benign clonal neoplasm consisting of varying amounts of mature adipose tissue, smooth muscle and thick-walled vessels.